Chronic hepatitis is caused by -a) Hepatitis Ab) Hepatitis Bc) Hepatitis C d) Hepatitis G
1. a
2. c
3. bc
4. ad

Correct answer: 3. bc